In 8 year old child, the drug of choice in the treatment of ANUG (Acute necrotizing ulcerative gingivitis) is:
1. Aminoglycosides
2. Penicillin
3. Tetracyclines
4. Ciprofloxacin

Correct answer: 2. Penicillin

Explanation: Treatment of acute necrotizing ulcerative gingivitis
The treatment of ANUG consists of the following phases:
1. Local: Alleviation of the acute inflammation plus treatment of the chronic disease either underlying the acute involvement or elsewhere in the oral cavity.
2. Systemic:
a. Supportive treatment: Alleviation of generalized toxic symptoms, such as fever and malaise.
b. Etiotropic treatment: The correction of systemic conditions that contribute to the initiation or progress of the gingival changes.
Antibiotics are administered systemically only in patients with toxic systemic complications or local adenopathy. They are not recommended in ANUG patients who do not have these complications. The antibiotic of choice is penicillin. Patients who are allergic to penicillin should be given erythromycin. Metronidazole may also be used.
Supportive systemic treatment
In addition to systemic antibiotics, supportive treatment consists of copious fluid consumption and administration of analgesics for the relief of pain. Bed rest is necessary for patients with toxic systemic complications such as high fever, malaise, anorexia, and general debility. In such cases, nutritional requirements also need to be kept in mind. 
Pediatric Dentistry / Shobha Tandon - 2nd Ed  P: 661